All are true about Dengue hemorrhagic fever except
1. Lamivudine is drug of choice
2. Malnutrition is protective
3. Transmitted by Aedes
4. Causative agent belongs to Flaviviradae group

Correct answer: 1. Lamivudine is drug of choice

Explanation: Moderate to severe protein energy malnutrition reduces risk of DHF/DSS in dengue-infected children
Treatment of DHF: None specific

– Paracetamol
– ORS, Oral fluids
– I/V fluids, IV colloids
– Blood transfusion